Cabana procedure is done in:
1. CA testis
2. RPLND
3. Sentinel LN biopsy in penile carcinoma
4. ca penis

Correct answer: 3. Sentinel LN biopsy in penile carcinoma

Explanation: 1st SLM Biopsy was performed by CABANA & Procedure was known as CABANA Procedure Diagnosis- IOC - Biopsy- IOC for staging -MRI Treatment- Circumcision for CA Penis involving prepuce- C.A involving distal part* Partial penectomy with is 2cm margin- CA Penis involving proximal Part * Total penectomy + perineal urethrostomy